All of the following drugs require dose reduction in cirrhosis except -
1. Lorazepam
2. Diazepam
3. Metronidazole
4. Rifampicin

Correct answer: 1. Lorazepam

Explanation: Ans. is 'a' i.e., Lorazepam